All are true of Verner Morrison syndrome (WDHA syndrome) except
1. It is associated with Vipoma
2. Presents with secretory diarrhea
3. Can be associated with ganglioneuroblastoma
4. Associated with hyperkalemia

Correct answer: 4. Associated with hyperkalemia

Explanation: VIPoma (watery diarrhea, hypokalemia, achlorhydria, or WDHA syndrome) is an endocrine tumor of pancreas that induces a characteristic syndrome, caused by release of vasoactive intestinal peptide (VIP) from the tumor. Some of these tumors are locally invasive and metastatic. A VIP assay should be performed on all patients with severe secretory diarrhea. Neural crest tumors, such as neuro blastomas, ganglioneuroblastoma, and ganglioneuromas and pheochromocytoma can also be associated with the Vipoma syndrome.